Bagassosis is a pneumoconiosis caused by inhalation of
1. Coal particles
2. Cotton
3. Sugarcane dust
4. Asbestos

Correct answer: 3. Sugarcane dust